Caloric test has:
1. Slow component only
2. Fast component only
3. Slow + fast component
4. Fast component occasionally

Correct answer: 3. Slow + fast component

Explanation: Caloric test is used to test vestibular function/labyrinthine function, So nystagmus induced by it is vestibular in origin. Vestibular nystagmus has both fast (of cerebral origin) and a slow component (of vestibular origin).